False about risk factor for stroke is
1. Diabetes
2. Anaemia
3. Heart failure
4. Alcohol

Correct answer: 2. Anaemia